All are macrophages except -
1. Histocytes
2. Kupffer cells
3. Osteoclasts
4. Lymphocytes

Correct answer: 4. Lymphocytes

Explanation: Ans. is 'd' i.e., Lymphocytes Mononuclear macrophages Blood macrophages --> Monocytes Tissue macrophages --> Histocytes Lung --> Alveolar macrophages Brain --> Microglia Liver --> Kupffer cells Bone --> Osteoclasts Kidney --> Mesangial cells Placenta --> Hofbouer cells Spleen --> Littoral cells About option 'd' Lymphocytes Lymphocytes are the major cells in both antibody mediated (humoral) and cell mediated immunity. They also have some role in nonimmune inflammation. Antigen-stimulated lymphocytes (T & B cells) use various adhesion molecules and chemokines to migrate into inflammatory sites. Lymphocytes and macrophages interact in biderectional way, and these reactions play an important role in chronic inflammation. Macrophages process and present antigen to T-cells and also produce IL-2 that stimulate T cells. Activated T-cells produce IFN-y, a major activator of macrophages.